A two year old unimmunized child presents to a primary health center with fever since 5 days Mother also gives a history of rash starting behind ear-pinna a day before coming OPD. On examination, child is having running nose and congested eyes. Most probable diagnosis is:
1. Measles
2. Mumps
3. Rubella
4. Chicken pox

Correct answer: 1. Measles

Explanation: Option 1. Points in favor of Measles are: History of unvaccination. 2 years old child. Maculopapular rashes which benign behind the ears. Fever, running nose and congested eyes. Option 2: Mumps present with bilateral parotid swelling. Option 3: Rubella- rash on face with lymphadenopathy. Option 4: Chicken pox-presents with fever with vesicular rash